Most vascular part of bone:
1. Epiphysis
2. Metaphysis
3. Diaphysis
4. Periosteum

Correct answer: 2. Metaphysis

Explanation: Ans) b ( metaphysis) Ref: Maheswari 3ed 157Metaphysis is the most vascularised zone of the bone due to which it becomes a favorite site for osteo-myelitis.In metaphysic vessels are arranged in the form of loop (hair pin arrangement)Blood stasis ;bacteria settleMost common site for osteomyelitisStrongest part of bone -Diaphysis